Thickest portion of sclera is -
1. Anterior to rectus muscle insertion
2. Posterior to rectus musde insertion
3. Posterior pole
4. Limbus

Correct answer: 3. Posterior pole

Explanation: Thickness of sclera varies considerably in differentindividuals and with the age of the person. It isgenerally thinner in children than the adults and infemales than the males. Sclera is thickest posteriorly(1mm) and gradually becomes thin when tracedanteriorly. It is thinnest at the insertion of extraocularmuscles (0.3 mm). REF:Comprehensive ophthalmology,20th edition,AK Khurana,pg no.127.